What is vertebroplasty ?
1. Stabilization of vertebral compression fracture
2. Replacement of vertebral body only
3. Replacement of vertebral body with intervertebral disc
4. Fusion of the adjacent vertebrae

Correct answer: 1. Stabilization of vertebral compression fracture

Explanation: Ans. is 'a' i.e., Stabilization of vertebral compression fracture Vertebroplasty is an outpatient procedure for stabilizing compression fractures in the spine. Bone cement is injected into back bones (vertebrae) that have cracked or broken, often because of osteoporosis. The cement hardens, stabilizing the fractures and supporting jour spine. Vertebroplasty and kvphoplasty Vertebroplasty and kyphoplasty are interventional radiologic procedures for the treatment of the intense pain refractory to medical management or bracing caused by vertebral compression fracture associated with osteoporosis, tumors, and trauma. Vertebroplasty and kyphoplasty involve intraosseous injection of acrylic cementpolymethyl methacrylate under local anesthesia and fluoroscopic guidance. Pain reduction or elimination is immediate, and the risk of complications is low. Neither vertebroplasty nor kyphoplasty are intended for the treatment of intervertebral disc disease or arthritis. Vertebroplasty may also be applied prophylactically to an at-risk vertebra between 2 other abnormal vertebrae. Vertebroplasty does not restore the height of the compressed vertebral body. A related procedure, kyphoplasty, is intended to restore lost height by inflating a balloon pump within and between the fracture fragments prior to the infusion of the cement. Both procedures result in similar relief of pain due to vertebral compression fractures. The risks of the procedure are low and include extravasation of cement into the epidural space causing myelopathy, or fatal pulmonary embolism from extension of cement into paraspinous veins. Indications for percutaneous vertebroplasty Osteoporotic vertebral compression fractures more than two weeks old in the cervical, thoracic, and lumbar spine causing moderate to severe pain and unresponsive to conservative therapy. Painful metastasis and multiple myeloma with or without adjuvant radiation or surgical therapy. Painful vertebral hemangiomas Vertebral osteonecrosis. Reinforcement of a pathologically weak vertebral body before a surgical stabilization procedure. Contraindication for percutaneous vertebroplasty Contraindications are : - 1. Absolute Osteoporotic vertebral fracture that is completely healed or is clearly responding to conservative management. Presence of untreated coagulopathy. Presence of discitis/osteomyelitis (septic or tubercular) or sepsis. 2. Relative Significant compromise of the spinal canal by retropulsed bone fragment or tumor. Fracture older than one year. Greater than 80-90% collapse of the vertebral body.